Migratory superficial thrombophlebitis is seen in-
1. Carcinoma pancreas
2. Astrocytoma
3. Renal carcinoma
4. All

Correct answer: 1. Carcinoma pancreas

Explanation: Thrombophlebitis is phlebitis or vein inflammation related to a thrombus, which is a blood clot. When it occurs repeatedly in different locations, it is known as thrombophlebitis migrans, (migrating thrombophlebitis) indicated by the Trousseau sign of malignancyPancreatic cancer arises when cells in the pancreas, a glandular organ behind the stomach, begin to multiply out of control and form a mass. These cancerous cells have the ability to invade other parts of the body. There are a number of types of pancreatic cancer. The most common, pancreatic adenocarcinoma, accounts for about 85% of cases, and the term "pancreatic cancer" is sometimes used to refer only to that type. These adenocarcinomas start within the part of the pancreas which makes digestive enzymes. Several other types of cancer, which collectively represent the majority of the non-adenocarcinomas, can also arise from these cells. One to two percent of cases of pancreatic cancer are neuroendocrine tumors, which arise from the hormone-producing cells of the pancreas. These are generally less aggressive than pancreatic adenocarcinoma